In Wegener's granulomatosis cytoplasmic anti neutrophilic antibodies are directed against -
1. Proteinase 1
2. Proteinase 2
3. Proteinase 3
4. Proteinase 4

Correct answer: 3. Proteinase 3